Most of the drugs are excreted in
1. Faeces
2. Urine
3. Saliva
4. None

Correct answer: 2. Urine

Explanation: Ans. is 'b' i.e., Urine o Most important channel of excretion for most drugs is through kidney (in urine).